All of the following are true about 'secondary apnea' in a neonate EXCEPT:
1. The baby is not breathing
2. HR may become < 100/min
3. It may be present even at birth
4. Baby may respond to tactile stimulation

Correct answer: 4. Baby may respond to tactile stimulation

Explanation: Primary apnea Secondary apnea Baby is not breathing Baby is not breathing HR may become < 100/min HR may become < 100/min Baby may respond to tactile stimulation Infant is unresponsive to stimulation & does not spontaneously resume respiratory efforts unless PPV is initiated.